Hounsfield units are used in CT density scale to measure attenuation value of different materials compared to water. The value of fat in HU would be around:
1. -100
2. -1000
3. 100
4. 1000

Correct answer: 1. -100

Explanation: Ans. A. -100The value of fat is around -100HU.In a CT density scale* Air = -1000 (Black)* Fat = -100* Water = 0* Concealed blood =+60 to+70* Calcification =+1000 (White)